Retropharyngeal space extends from the base of the skull to
1. Hyoid bone
2. Bifurcation of trachea
3. Angle of mandible
4. Cricoid cartilage

Correct answer: 2. Bifurcation of trachea

Explanation: Retropharyngeal space: It lies behind the pharynx between the buccopharyngeal fascia covering pharyngeal constrictor muscles and the prevertebral fascia.It extends from the base of the skull to the bifurcation of the trachea.Space is divided into two lateral compartments (spaces of Gillette) by a fibrous raphe.Each lateral space contains retropharyngeal nodes which usually disappear at3-4 years of age.Parapharyngeal space communicates with the retropharyngeal space.Infection of retropharyngeal space can pass down behind the esophagus into the mediastinum.